All of the following factors tend to increase the volume of distribution of a drug EXCEPT:
1. High plasma protein binding
2. Low ionization at physiological pH values
3. High lipid solubility
4. High tissue binding

Correct answer: 1. High plasma protein binding

Explanation: - Factors affecting drug distribution

   Lipid solubility - Higher the solubility, higher the distribution
   Ionization at physiological pH - Higher the ionization, lower the distribution
   Degree of plasma protein binding - More the binding, less the distribution
   Affinity for different tissues - Higher affinity, higher distribution
   Regional blood flow - More the flow, more the distribution
   Fat: lean body mass ratio (changes with age) - Increases with age 
   Disease like CHF, uremia, cirrhosis